Most common pancreatic tumor in MEN-1 is -
1. Gastrinoma
2. Insulinoma
3. Glucagonoma
4. Somatostatinoma

Correct answer: 1. Gastrinoma

Explanation: Enteropancreatic tumors in MEN 1 are * Gastrinoma(>50%) * Insulinoma(10-30%) * Nonfunctioning and PPoma(20-55%) * Glucagonoma(<3%) * VIPoma(<1%) Reference : page 2336 Harrison's Principles of Internal Medicine 19th edition